The power of Amnesty for capital punishment is vested with :
1. The president
2. Supreme court
3. High court
4. The governer

Correct answer: 1. The president

Explanation: A i.e. The president